Which of the following is NOT needed for the mechanism of accommodation in the eye?
1. Attachment of ciliary fibers to the lens capsule
2. Contraction of the ciliary muscle
3. Change in shape of the ciliary body
4. Increase in tension on the lateral margins of the lens

Correct answer: 4. Increase in tension on the lateral margins of the lens

Explanation: This is the correct answer to this question because this is the only thing that does not have to occur during the process of accommodation. Indeed, accommodation involves a DECREASE in the tension on the lateral margins of the eye, allowing the lens to relax into a rounder, more biconvex shape.